Renal filtration fraction is calculated as
1. Renal plasma flow (RPF)/GFR
2. GFR/RPF
3. (RPF x GFR)/ Total Blood flow
4. None of the above

Correct answer: 2. GFR/RPF

Explanation: Renal filtration fraction= GFR/(RPF) The filtration fraction, is normally 0.16-0.20. The GFR varies less than the RPF. When there is a fall in systemic blood pressure, the GFR falls less than the RPF because of efferent arteriolar constriction, and consequently the filtration fraction rises.